Which of the follow ing occurs in mitochondria -
1. Glycolysis
2. HMP shunt
3. TCA cycle
4. Glycogenesis

Correct answer: 3. TCA cycle

Explanation: Ans. is 'c' i.e., TCA cycle SiteCycle/ReactionsCytosolQGlycolysis Q (EMP Cycle Q), HMP shunt, fatty' acid synthesisQ glycogenesis, glycogenolysis, Bile acid/Salt synthesis, cholesterol synthesisMitochondria QKreb's cycle (citric acid cycle) Q. Electron transport chain (ECT) Q, Fatty' acid oxidationQ, KetogenesisBoth cytosol and mitochondriaGluconeogenesisQ, Urea cycleQPeroxisomesOxidation of very' long chain fatty' acidsSmooth endoplasmic reticulumTriglyceride synthesisQ, Steroid synthesisQ, cholesterol synthesis, phospholipid synthesisRough endoplasmic reticulum (ribosomes)Protein synthesisNucleusDMA and RNA synthesiso They are called essential fatty acids because human beings require these fatty acids but cannot synthesize themQ,o Humans lack the enzymes to introduce double bonds at carbon atom beyond C9 in the fatty' acid chain,o Hence, human cannot synthesize linolenic acid0and linolenic acid having double bonds beyond C9.o Arachidonic acid can be synthesized from linoleic acid.o Therefore, in deficiency of linoleic acid, arachidonic acid also becomes essential fatty' acids,o Therefore linoleic acid is the most important essential fatty acid0 as it senes as a basis for the production of other EFA.